All are true about anthropometric measurements except:-
1. Birth weight triples by 1 year
2. Skinfold thickness is measured in sub scapular region
3. Weight is measured to the nearest 100 gram
4. Standing height is about 2.5 cm more than recumbent length

Correct answer: 4. Standing height is about 2.5 cm more than recumbent length

Explanation: Standing height is about 0.7 cm less than recumbent length. If a child < 2 years old, measure recumbent length- Infantometer If >= 2-year age and able to stand, measure standing height- Stadiometer